Ganciclovir is preferred over acyclovir in the following condition
1. Herpes simplex keratitis
2. Herpes zoster
3. Chicken pox
4. Cytomegalovirus retinitis in AIDs patients

Correct answer: 4. Cytomegalovirus retinitis in AIDs patients

Explanation: Ref-KDT 6/e p769 Ganciclovir is the drug of choice for CMV infections. Acyclovir is highly effective against Herpes simplex and Varicellal zoster (chicken pox and herpes zoster) but it has very little activity against CMV.